Which of the following cells aren't seen in the cerebellar cortex?
1. Purkinje cells
2. Stellate cells
3. Basket cells
4. Magnocellular cells

Correct answer: 4. Magnocellular cells

Explanation: Ans. is 'd' i.e., Magnocellular cells * The cerebellar cortex contains five types of neurons :i) Purkinje cellsiii) Basket cellsv) Golgi cellsii) Granule cellsiv) Stellate cells